The gene responsible for folic acid transport is situated on which chromosome-
1. 10
2. 5
3. X
4. 21

Correct answer: 4. 21

Explanation: Folate transporter is the product of gene SLC 19 AI Salute carrier family 19 member which is located on Chromosone 21 q 223